Grievous Hurt is defined under
1. 323 IPC
2. 319 IPC
3. 320 IPC
4. 326 IPC

Correct answer: 3. 320 IPC

Explanation: Refer the byte "Ilegal sections".